Which is elaborated by small cell carcinoma lung?
1. PTH
2. ACTH
3. Erythropoesitn
4. Noradrenaline

Correct answer: 2. ACTH

Explanation: Ans. is 'b' i.e., ACTH o The ectopic hormones produced by lung carcinoma are:# ACTH} # AAVP(ADH)- Produced by Small cell Ca# ANF# Calcitonin # PTH- Produced by Non-small cell Ca